Antitubercular drug contraindicated in pregnancy:
1. Streptomycin
2. Refampicin
3. INH
4. Ethambutol

Correct answer: 1. Streptomycin

Explanation: Tuberculosis is a bacterial infection caused by M.tuberculosis and rarely by M.bovis.Spread is usually by droplet infection. The principles of chemotherapy are the same as in nonpregnant state.The first line drugs are INH,rifampicin,ethambutol and pyrazinamide.Streptomycin is contraindicated due to its teratogenicity.It can occasionally cause ototoxicity. Other anti TB drugs which contraindiacted in pregnancy are Kanamycin,Amikacin,Capreomycin,Fluoroquinolones. TEXT BOOK OF OBSTETRICS,Sheila Balakrishnan,2nd edition,page no.325